The obstruction of two or more major hepatic veins is seen in:
1. Budd-Chiari syndrome
2. Reye's syndrome
3. Rotor syndrome
4. Crigler-Najjar syndrome

Correct answer: 1. Budd-Chiari syndrome

Explanation: A. Budd-Chiari syndrome(Ref: Nelson's 20/e p 1973, Ghai 8/e p 320)Budd-Chiari Syndrome: pg 388What is it?Portal hypertension caused by obstruction to hepatic veins anywhere between the efferent hepatic veins & the entry of the inferior vena cava into the right atriumEtiology* Hypercoagulable states e.g. antithrombin III deficiency, protein C or S deficiency, factor V Leiden or prothrombin mutations, paroxysmal nocturnal hemoglobinemia* Hepatic or metastatic neoplasms, Collagen vascular disease, Infection, Trauma